Annexin V is associated with?
1. Necrosis
2. Apoptosis
3. Atherosclerosis
4. Inflammation

Correct answer: 2. Apoptosis

Explanation: ANSWER: (B) ApoptosisREF: Robbin s 7th edition, p. 21, 27, and 31, http://en.wikipedia.org/wiki/Annexin_A5 Indirect repeat from June 2008, June 2009 & June 2010 See APPENDIX-27 for 'APOPTOSIS VS NECROSIS"Annexin A5 (or annexin V) is a cellular protein in the annexin group. The function of the protein is unknown; however, annexin A5 has been proposed to play a role in the inhibition of blood coagulation by competing for phosphatidylserine binding sites with prothrombin and also to inhibit the activity of phospholipase A1Antibodies directed against annexin A5 are found in patients with a disease called the antiphospholipid syndrome (APS), a thrombophilic disease associated with auto antibodies against phospholipid compounds.Annexin A5 is used as a probe in the annexin A5 affinity assay to detect cells that have expressed phosphatidylserine on the cell surface, a feature found in apoptosis as well as other forms of cell death